Oxaloacetate is formed from?
1. Proline
2. Glutamate
3. Aspartate
4. Lysine

Correct answer: 3. Aspartate

Explanation: Ans. (c) Aspartate